In disaster management following are practiced except -
1. Triage
2. Rehabilitation
3. Mass vaccination
4. Disaster response

Correct answer: 3. Mass vaccination

Explanation: Ans. is 'c' i.e., Mass vaccination Disaster managemento Management sequence of a sudden-onset disaster is as follows :-1) Risk reduction phase before a disaster strikes# It includes:-i) Mitigation: Measures designed either to prevent hazards from causing emergency or to lessen the likely effect of emergencies.ii) Preparedness: To ensure that appropriate systems, procedures and resources are in place to provide prompt effective assistance to disaster victims.2) Disaster Impact# Most injuries are sustained during the impact, and thus greatest need for emergency care occurs in first few hours. The management can be divided intoi) Search, rescue and first aid : Most immediate help comes from uninjured survivors.ii) Field care : As many injured patients come simultaneously, emergency services should be proper in terms of priorty and numbers of facilities.iii) Triage: Triage consists of classifying the injured on the basis of severity of injuries and the likely hood of their survival with prompt medical intervention. The most common triage classification system used internationally is four colour code system1. Red - High priority treatment or transfer2. Yellow - Medium priority3. Green - Ambulatory patients4. Black - Dead or moribund patientsiv) Tagging : All patients should be identified with tags.v) Identification of dead : Proper respect to dead is of great importance.3) Recovery phase after disaster# It includes :-i) Response : Response starts with disaster impact and extends in recovery phase.ii) Rheabilitation and reconstruction : These should lead to restoration of pre-disaster conditiono The 'control room' is nodal center in terms of disaster management.o The diseases common after a disaster are: Gastroenteritis (most common), acute respiratory infections (pneumonia), leptospirosis, rabies, equine encephalitis and rickettsiosis.